Which of the following interactions does not cause film fog?
1. Coherent scattering
2. Transient scattering
3. Photoelectric absorption
4. Compton scattering

Correct answer: 3. Photoelectric absorption